Melanoblast cells appear in basal layer of epidermis during-
1. 3rd month of intrauterine life
2. 5th month of intrauterine life
3. 7th month of intrauterine life
4. 8th month of intrauterine life

Correct answer: 1. 3rd month of intrauterine life

Explanation: A i.e. 3rd Month of intrauterine life Melanoblast cell appear in basal layer of epidermis during 3rd month of intrauterine hfe.Q